In which of the following case police inquest is not done-
1. Dowry death
2. Suicide
3. Death by accident
4. Death by animals

Correct answer: 1. Dowry death

Explanation: Police inquest is done in cases of :-


Death by suicide  
Death by killing by another person (murder) or an animal or machinery
Death by accident
Death under circumstances raising a reasonable suspicion that some other person has committed an offence.